Not true about glottic carcinoma
1. Is most common site in carcinoma larynx
2. Presents early
3. Most common in males
4. Has worst prognosis

Correct answer: 4. Has worst prognosis

Explanation: Has good prognosis due to least lymphotic supply.